Dry wine is -
1. Dhatura
2. Chloral hydrate
3. Cannabis
4. Cocaine

Correct answer: 2. Chloral hydrate

Explanation: Ans. is 'b' i.e., Chloral hydrate Chloral hydrate* Chloral hydrate is a colourless, crystalline substance having peculiar pungent odour and pungent bitter test. It is a powerful hypnotic, in small doses produces natural sleep, but in larger doses depresses CNS and paralyses vital centers. It is given in food or drink to make person helpless, called knock out drops.* Mickey finn is a combination of alcohol and chloral hydrate. Chloral hydrate is also called dry wine.